All are seen in papilloedema EXCEPT -
1. Hyperemia of disc
2. Sudden vision loss
3. Post - neuritic atrophy
4. Macular fan

Correct answer: 2. Sudden vision loss

Explanation: Vision loss occurs in long standing papilloedema (not in acute pappiloedema), and that occurs in less than 25% of patients.
Post neuritic atrophy also occurs in long standing papilloedema and not acute papilloedema.